Which of the following is false regarding conventional immediate dentures (CID)
1. It is intended as definitive or long term prosthesis
2. Generally indicated when only anterior teeth are present
3. Esthetics of CID can be altered during fabrication of second denture
4. It is indicated when two extraction visits are feasible.

Correct answer: 3. Esthetics of CID can be altered during fabrication of second denture

Explanation: As conventional immediate denture is intended as definitive prosthesis, esthetics once achieved cannot be altered. There is no second set where changes can be made.